The Reynold's pentad of fever, jaundice, right upper quadrant pain, septic shock and mental status change in typical of:
1. Cholangitis
2. Hepatitis
3. Cholecystitis
4. Pancreatitis

Correct answer: 1. Cholangitis

Explanation: Cholangitis is one of the two main complications of choledochal stones, the other being gallstone pancreatitis. The most common presentation is fever, epigastric or right upper quadrant pain, and jaundice. These classic symptoms, well known as Charcot's triad, are present in about two thirds of patients. The illness may progress rapidly with septicemia and disorientation, known as Reynolds pentad (e.g., fever, jaundice, right upper quadrant pain, septic shock, and mental status changes). Ref: Oddsdottir M., Pham T.H., Hunter J.G. (2010). Chapter 32. Gallbladder and the Extrahepatic Biliary System. In F.C. Brunicardi, D.K. Andersen, T.R. Billiar, D.L. Dunn, J.G. Hunter, J.B. Matthews, R.E. Pollock (Eds), Schwartz's Principles of Surgery, 9e.